Reed-Steinberg cells of Hodgkin's disease positive for CD15 & CD30 are seen in all types EXCEPT :
1. Nodular sclerosis
2. Mixed cellularity
3. Lymphocyte depletion
4. Lymphocyte predominance

Correct answer: 4. Lymphocyte predominance

Explanation: Ans. d (Lymphocyte predominance). (Robbin, Pathologic Basis of Diseases, 6th/611)HODGKIN'S DISEASE (HD) - subtypesSUBTYPES OF HODGKIN'SFEATURESNodular sclerosis (65-75%)# Best prognosis# Most common worldwide# Lacunar cells# Diagnostic RS cells# Fibrous collagen# Bands dividing cellular areas into nodules.# RS cells CD15+, CD30+Mixed cellularity (25%)# Plenty of classic RS cells and mononuclear variants# CD15+, CD30+ RS cells.# Most common in India.Lymphocyte predominance (6%)# Lymphohistiocytic variants# Popcorn cells,# RS cells# CD20+,# CD15- , CD30-Lymphocyte depletion (3-5%)# Worst prognosis# Rare# CD15+, CD30+.# Reticular variants# Controversial entity.